Immunoglobulins are seen as surface antigens on:
1. Neutrophils
2. Monocytes
3. NK Cells
4. B cells

Correct answer: 4. B cells

Explanation: Ref: Ananthanarayan. Paniker CJ. Textbook of microbiology. 8th Edition. London: John Wiley & Sons: 2009. Pg. 128.Explanation:Differences between T cells and B cellsPropertyT cellBcellCD3 receptor+-Surface immunoqlobulins-+Fc receptor-+Thymus specific antigens+-Surface microvilli-+TCR (T cell receptor)+-